In a patient with pheochromocytoma, all of the following are seen except?
1. Diarrhoea
2. Orthostatic hypotension
3. Episodic hypertension
4. Weight gain

Correct answer: 4. Weight gain

Explanation: Due to increased sympathomimetic stimulation, Pheochromocytoma has a weight loss. Phaeochromocytoma produces norepinephrine (80% cases) leading to hypertension but since the catecholamines act for short duration and are released in bursts abnormally, the BP increases for some hours a day, which is referred to as Episodic hypertension. This catecholamine excess in future will lead to a persistent vasoconstriction, referred to as volume contracted state. This explains the Postural Hypotension/Orthostatic Hypotension Pheochromocytoma is a nasty tumor that can produce V.I.P and leads to Secretory diarrhea.